Triglyceride content is lowest in:
1. HDL
2. LDL
3. VLDL
4. Chylomicrons

Correct answer: 1. HDL

Explanation: A Harper, 26th ed, p. 206, Table (25-1) & 25th ed, p. 269